Radioresistant tumor is
1. Ewing's sarcoma
2. Osteosarcoma
3. Retinoblastoma
4. Neuroblastoma

Correct answer: 2. Osteosarcoma

Explanation: List of highly radioresistant tumors : Osteosarcoma Melanoma Pancreatic cancer Hepatocellular carcinoma